All true about hemlichs maneuver except:-
1. It is used in foreign body aspiration
2. Abdominal thrust is given
3. Effective in choking
4. Can be effective in cardiac arrest patients

Correct answer: 4. Can be effective in cardiac arrest patients

Explanation: IN CARDIAC ARREST WE DO Cardio Pulmonary Cerebral Resusitation. If a choking victim becomes unresponsive, call for help and immediately start CPR, beginning with chest compressions. For pediatric CPR, if a single rescuer is present, then chest compression to ventilation is performed in a ratio of 30:2. If there are 2 or more rescuers, then the ratio is 15:2. While giving rescue breaths, the airway is checked for a foreign body. If it is accessible, then the object can be removed. If not, then CPR is continued. Blind finger sweeping may be hazardous as it can push the object further down the airway. If the child is responsive, then abdominal thrusts are performed to help relieve airway obstruction. In a choking infant who is responsive, 5 back slaps between the shoulder blades and 5 downward thrusts on the chest are given in order to dislodge the foreign body.